Complication commonly occurring in tracheostomy in children is:
1. Stenosis
2. Difficult decanulation
3. Difficult weaning
4. Infection

Correct answer: 2. Difficult decanulation

Explanation: Ans. B i.e. Difficult decanulation